In which leukemia, autoimmune hemolytic anemia is most common: -
1. ALL
2. AML
3. CML
4. CLL

Correct answer: 4. CLL

Explanation: CLL is the most common of the known cause of AIHA